Stye is suppurative inflammation of glands of ?
1. Zeis
2. Meibonian
3. Wolfring
4. All the above

Correct answer: 1. Zeis

Explanation: Ans. is 'a' i.e., Zeis